Intra uterine growth retardation can be caused by all except -
1. Nicotine
2. Alcohol
3. Propranolol
4. Phenothiazine

Correct answer: 4. Phenothiazine

Explanation: Ans. is d i.e., Phenotiazines